A 12 year old child presents with fever and cervical lymphadenopathy. Oral examination shows grey membrane on right tonsil extending to the anterior pillar. Which of the following medium will be ideal for culture of throat swab for rapid identification of pathogen?
1. Nutrient agar
2. Blood agar
3. Lofflers serum slope
4. LJ medium

Correct answer: 3. Lofflers serum slope